Severe Obstructive sleep apnea is defined as AHI of greater than
1. 15 events/hour
2. 20 events/hour
3. 25 events/hour
4. 30 events/hour

Correct answer: 4. 30 events/hour

Explanation: Obstructive Sleep Apnea/Hypopnea Syndrome Quantification and Severity scaleApnea-hypopnea index : Number of apnea plus hypopnea per hour of sleepRespiratory disturbance index : Number of apneas plus hypopnea plus RERAs per hour of sleepMild OSAHSAHI of 5-14 events/hourModerate OSAHSAHI of 15-29 events/hourSevere OSAHSAHI of >= 30 events/hourReference: Harrison's Principles of Internal Medicine; 19th edition; Chapter 319; Sleep Apnea